The lesions associated with recurrent dislocation of shoulder include all except:
1. Hill sach's lesion
2. Bankart's lesion
3. Capsular laxity
4. Supraspinatus tear

Correct answer: 4. Supraspinatus tear

Explanation: Bony Bankart lesion is a fracture of the anterior inferior glenoid Hill Sachs defect Is a chondral impaction injury in the posterosuperior humeral head secondary to contact with the glenoid rim * Capsular laxity as well leads to recurrent dislocation of shoulder.